Which of the following is not a STD?
1. Trichomoniasis
2. Giardiasis
3. Amoebiasis
4. Leishmaniasis

Correct answer: 4. Leishmaniasis

Explanation: Protozoal agents causing STD include: Trichomoniasis Giardiasis Amoebiasis Ref: Park 21st edition, page 304.